A marker of Golgi apparatus is-
1. Galactosyl transferase
2. Acetyl CoA synthetase
3. Pyruvate kinase
4. Malonyl CoA

Correct answer: 1. Galactosyl transferase

Explanation: Ans. A. Galactosyl transferaseEnzymatic Markers of Different Membranes-MembraneEnzymePlasma5'-NucleotidaseAdenylyl cyclase NA+-K+-ATPaseEndoplasmic reticulumGlucose-6-phosphataseGolgi apparatus CisGIcNAc transferase IMedialGolgi mannosidase IITransGalactosyl transferaseTrans Golgi NetworkSialyl transferaseInner mitochondrial membraneATP synthase